Of the following which is absent in eggs:
1. Vitamin B12
2. Vitamin C
3. Vitamin A
4. Vitamin B2

Correct answer: 2. Vitamin C

Explanation: Ans. (b) Vitamin CRef: K. Park, 23rd ed. pg. 630* Eggs has all the nutrients except vitamin C and carbohydrate.* Eggs are also a source of folate, biotin pantothenic acid, choline, phosporous, iodine and selenium in terms of minerals and vitamins.* Egg contains Avidin, which interferes with biotin absorption.